Stimulation for gastric emptying :
1. Secretin
2. CCK
3. Gastrin
4. All

Correct answer: 3. Gastrin

Explanation: C i.e. Gastrin